False statement regarding chorionic villous sampling
1. Chorionic villous sampling done at 16-21 weeks
2. Done for chromosomal abnormality
3. Increased nuchal Translucency indication for chorionic villous sampling
4. Taken from the developing placenta

Correct answer: 1. Chorionic villous sampling done at 16-21 weeks

Explanation: Chorionic villous sampling Is performed for pre-natal diagnosis of genetic disorders Done around 10 to 13 weeks Can be done in 1st trimester safely Complications Fetal loss (1-2%) Oromandibular limb deformities Taken from the developing placenta through transvaginal route or transabdominal route